True about anaerobic glycolysis is
1. 2 ATP from 1 glucose
2. 32 ATP from 1 glucose
3. 26 ATP from 1 glucose
4. 28 ATP from 1 glucose

Correct answer: 1. 2 ATP from 1 glucose

Explanation: Energy Yield from Glycolysis During anaerobic (oxygen deficient) condition - i. During anaerobic (oxygen deficient) condition, when one molecule of glucose is converted to 2 molecules of lactate, there is a net yield of 2 molecules of ATP. ii. 4 molecules of ATP are synthesized by the 2 substrate level phosphorylations (steps 6 and 9). But 2 molecules of ATP are used in the steps 1 and 3, hence the net yield is only 2 ATP (Table 9.4). iii. The whole reaction is summarized as Glucose + 2 Pi + 2 ADP --> 2 Lactate + 2 ATP Energy yield (number of ATP generated) per molecule of glucose in the glycolytic pathway, under anaerobic conditions STEP ENZYMES SOURCE No.of ATPs gained per glucose mol 1 Hexokinase - Minus 1 3 Phosphofructokinase - Minus 1 6 1,3-bisphosphoglycerate kinase ATP 1 x 2 = 2 9 Pyruvate kinase ATP 1 x 2 = 2 TOTAL = 4 Minus 2 = 2 REF: DM VASUDEVAN TEXTBOOK OF BIOCHEMISTRY,EIGHTH EDITION,PG.NO.,132.